Klebsiella pneumonia is
1. Lobar pneumonia with absent air bronchogram sign
2. Involves lower lobe predominantly
3. Cavitation is common
4. Pleural effusion is not commonly seen

Correct answer: 3. Cavitation is common

Explanation: Klebsiella pneumonia :

Air bronchogram sign positive.
Involves upper lobe.
Cavitations and pleural effusion is common.